Following are features of reactive arthritis except
1. Acute non purulent assymetrical arthritis
2. Predominately affects upper extremities
3. Circinate balanitis is a distinctive feature
4. Associated with periarthritis

Correct answer: 2. Predominately affects upper extremities

Explanation: Reactive arthritis refers to acute nonpurulent arthritis complicating an infection elsewhere in the body.The clinical manifestations of reactive arthritis constitute a spectrum that ranges from an isolated, transient monoarthritis or enthesitis to severe multisystem disease. A careful history will usually elicit evidence of an antecedent infection 1-4 weeks before onset of symptoms of the reactive disease, particularly in postenteric reactive arthritis.The joints of the lower extremities, especially the knee, ankle, and subtalar, metatarsophalangeal, and toe interphalangeal joints, are most commonly involved.Reactive arthritis shares many features in common with psoriatic arthropathy. However, it differs in:-PSORIATIC ARTHRITISREACTIVE ARTHRITISGradual in onsetAcutePrimarily in upper extremitiesLower extremitiesLess associated periarthritisPeriarthritisUsually no associated mouth ulcers, urethritis or bowel symptomsUsually no associated mouth ulcers, urethritis or bowel symptoms Harrison 19e 2175